Sensations carried by lateral spinothalamic tract?
1. Crude touch
2. Fine touch
3. Pain & temperature
4. Proprioception

Correct answer: 3. Pain & temperature

Explanation: Ans. is 'c' i.e., Pain & temperatureSensation carriedPosterior column (Dorsal column)Proprioception (Position of body or limb, position of joint)Fine touch (two point discrimination, topognosis, stereognosisVibrationKinesthesiaAnterolateral systemAnterior spinothalamic trac - Crude touchLateral spinothalamic tract - Pain, Temperature